Quadruple test does not include-
1. MS AFP
2. TotalhCG
3. PAPA
4. Inhibin A

Correct answer: 3. PAPA

Explanation: Ans. is 'c' i.e., PAPA "Triple test (|MSAFP, |UE3, |total hCG) & quadruple test (-|MSAFP, -|VE3, |total hCG & |Inhibin A) can detect trisomy 21 in 70% & 80% pregnancies respectively ".